Sample of spinal cord is preserved in suspected poisoning with:
1. Oleander
2. Alcohol
3. Strychnine
4. Arsenic

Correct answer: 3. Strychnine

Explanation: Ans. Strychnine